Members of southeast Asia of WHO are -
1. Japan
2. Afganistan
3. India
4. Pakistan

Correct answer: 3. India

Explanation: wWHO regional organizations south east Asia- New Delhi (India) Africa-Brazzaville Congo The Americans-Washington D.C. Europe-Copenhagen (Denmark) Eastern Mediterranean-Alexandria (Egypt) Western pacific-Manila (Philippines)